Normal duration of PR interval
1. 0.12 - 0.2 sec.
2. 0.2 - 0.3 sec.
3. 0.3-0.4 sec.
4. 0.4 - 0.5 sec.

Correct answer: 1. 0.12 - 0.2 sec.

Explanation: The time between the beginning of the P wave and the beginning of the QRS complex is the interval between the beginning of electrical excitation of the atria and the beginning of excitation of the ventricles. This period is called the P-Q interval. The normal P-Q interval is about 0.16 second. (Often this interval is called the P-R interval because the Q wave is likely to be absent.) Ref: Guyton and Hall textbook of medical physiology 13th edition. Page:133